True about pyogenic granuloma are
1. Vascular pathology
2. Bleeds rarely
3. In pregnancy incidence increases
4. 1 and 3

Correct answer: 4. 1 and 3

Explanation: Pyogenic granulomas are pedunculated masses usually found on the gingiva of children, young adults, and pregnant women. These lesions are richly vascular and typically are ulcerated, which gives them a red to purple color. In some cases, growth can be rapid and raise fear of a malignant neoplasm. However, histologic examination demonstrates a dense proliferation of immature vessels similar to that seen in granulation tissue. Pyogenic granulomas can regress, mature into dense fibrous masses, or develop into a peripheral ossifying fibroma. Complete surgical excision is definitive treatment. (Robbins basic pathology,9th edition,pg no.553)